All of the following are true about peritonsillar abscess, except:
1. Bulge in soft palate
2. Does not involve floor of mouth
3. Abscess is collected lateral to the superior constrictor
4. Trismus is commonly associated

Correct answer: 3. Abscess is collected lateral to the superior constrictor

Explanation: (c) Abscess is collected lateral to the superior constrictor(Ref. Scott Brown, 8th ed., Vol 3; 626)The abscess is collected in the peritonsillar space medial to the superior constrictor.Rest all are true.